Father of Medicine:
1. John Snow
2. Edward Jenner
3. Louis Pasteur
4. Hippocrates

Correct answer: 4. Hippocrates

Explanation: Ans. (d) HippocratesRef : K. Park 23rd ed. 15-6* Father of public Health: Cholera* Father of modern epidemiology: John Snow* Father of Medicine/first true epidemiologist: Hippocrates.